Commonest dislocation of elbow-
1. Anterior
2. Posterior
3. Both same
4. Medial

Correct answer: 2. Posterior

Explanation: The elbow dislocation is nearly always posterior or posterolateral.